Amaurosis fugax is caused by occlusion of
1. Facial artery
2. Occipital artery
3. Central retinal artery
4. Posterior auricular artery

Correct answer: 3. Central retinal artery

Explanation: (C) Central retinal artery # Amaurosis fugax> It refers to a sudden, temporary and painless monocular visual loss occurring due to a transient failure of retinal circulation.> Its common causes are: carotid transient ischaemic attacks (TIA), embolization of retinal circulation, papilloedema, giant cell arteritis, Raynaud's disease, migraine, as a prodromal symptom of central retinal artery or carotid artery occlusion, hypertensive retinopathy, and venous stasis retinopathy.> An attack of amaurosis fugax is typically described by the patients as a curtain that descends from above or ascends from below to occupy the upper or lower halves of their visual fields.> The attack lasts for two to five minutes and resolves in the reverse pattern of progression, leaving no residual deficit.> Due to brief duration of the attack, it is rarely possible to observe the fundus.> When observed shortly after an attack, the fundus may either be normal or reveal signs of retinal ischemia such as retinal oedema and small superficial haemorrhages.> In some cases, retinal emboli in the form of white plugs (fibrin-platelet aggregates) may be seen.)